A patient is diagnosed having paronychia. Which of the following would one expect to note during the assessment?
1. Red shiny skin around the nail bed
2. White taut skin at the finger pulp
3. Avulsion of nail from its bed
4. Swelling involving the distal pulp

Correct answer: 1. Red shiny skin around the nail bed

Explanation: Paronychia is nail bed infection and it is the most common hand infection. It is characterized by red, shiny skin, often associated with painful swelling. After initial inflammation, pus accumulates beside the nail. These infections frequently result from trauma, picking at the nail, or disorders such as dermatitis. Often, these become secondarily infected with bacteria or fungus, which later involves the nail. Warm soaks three or four times a day may reduce pain and pressure; however incision and drainage, partial nail removal and antibiotics are frequently required.